Not seen idiopathic pulmonary hemosiderosis
1. Eosinopenia
2. Iron deficiency anemia
3. Diffuse alveolar hemorrhage
4. Hemoptysis

Correct answer: 1. Eosinopenia

Explanation: Answer is A (Eosinopenia): Eosinopenia is not a feature of Idiopathic Pulmonary Hemosiderosis Idiopathic Pulmonary Hemosiderosis (IPH) IPH is a disorder of unknown etiology characterized by recurrent episodes of Diffuse Alveolar Hemorrhage (DAH) It has been classically characterized by the triad of iron deficiency anemia, hemoptysis and alveolar infiltrates on chest radiographs.